Compression ventilation ratio in case of Neonatal CPR:-
1. 3:01
2. 15:02
3. 30:02:00
4. 100:08:00

Correct answer: 1. 3:01

Explanation: Ratio of CPR administration Adult - 30 : 2 (1 or 2 Rescuer) Paediatrics(Child) -30 : 2 (1 Rescuer) - 15 : 2 (2 Rescuer) Neonate - 3 : 1 (2 Rescuer mandatory)